A drug 'X' belongs to the anticholinergic drug group. It is primarily used in pre anesthetic medication and also during surgery. Which of the following can be 'X'?
1. Glycopyrrolate
2. Pipenzolate methyl bromide
3. Isopropamide
4. Dicyclomine

Correct answer: 1. Glycopyrrolate

Explanation: Glycopyrrolate is potent and rapidly acting antimuscarinic and do not have central effects It is used to reduce the secretions during anaesthesia (to prevent reflex bronchospasm). It is mainly used as pre-anaesthetic medication.